Trigeminal nerve supplies all of the following muscles except:
1. Stylohyoid
2. Medial pterygoid
3. Lateral pterygoid
4. Tensor veli palatini

Correct answer: 1. Stylohyoid

Explanation: Ans. a. Stylohyoid (Ref: Grays 39/e p520; BDC 6/e pvol-III/127, 367; Longman Embryology 11/e p269)Stylohyoid muscle is innervated by the stylohyoid branch of the facial nerve, not by trigeminal nerve."Mandibular nerve, which is a branch of the trigeminal nerve, innervates the muscles derived from the first pharyngeal arch, viz, medial pterygoid, lateral pterygoid, temporalis, masseter, tensor tympani, tensor veli palatine, mylohyoid and anterior belly of digastric."ArchNerve of ArchMuscle of Arch1stTrigeminal (V): mandibularQ and maxiilary division* MylohyoidQ* Mastication musclesQ;- TemporalisQ- MasseterQ- Lateral and Medial pterygoidsQ* Anterior belly of digastricQ* Tensor palatine* Tensor tympani2ndFacial nerveQ (VII)* StapediusQ* StyiohyloidQ* Posterior belly of digastricQ* Facial expression musclesQ:- Auricularis- BuccinatorQ- FrontalisQ- Platysma- Orbicularis oris and oculiQ3rdGlossopharyngeal NerveQ (IX)* StylopharyngeusQ4thVagus (X): Superior laryngeal NerveQ* Constrictors of pharynxQ* Cricothyroid* Levator palatine6thVagus (X): Recurrent laryngeal Nerve* Intrinsic muscles of Larynx except cricothyroidQ